Disinfection of water is not required if the source is from –
1. Tube well
2. Step well
3. Draw well
4. River

Correct answer: 1. Tube well